Which of the following disorder is classified under defects in metabolic pathways?
1. Cherubism
2. Robinow syndrome
3. Severe infantile osteopetrosis
4. Pycnodysostosis

Correct answer: 3. Severe infantile osteopetrosis